Which of the following is a long acting beta 2 agonist :
1. Salbutamol
2. Salmeterol
3. Terbutaline
4. Levalbuterol

Correct answer: 2. Salmeterol